Oral complication of Cyclosporin is
1. Oral thrush
2. Leukoplakia
3. Gingival hyperplasia
4. Squamous cell carcinoma

Correct answer: 3. Gingival hyperplasia

Explanation: Adverse effects Cyclosporin is nephrotoxic--the major limitation, and impairs liver function. Other adverse effects are sustained rise in BP, precipitation of diabetes, anorexia, lethargy, hyperkalaemia, hyperuricaemia, opportunistic infections, hirsutism, gum hyperplasia, tremor and seizures. Ref:- kd tripathi; pg num:-880,881